Which is a pro-drug?
1. Cyclophosphamide
2. Lisinopril
3. Metochlopramide
4. Ranitidine

Correct answer: 1. Cyclophosphamide

Explanation: Ans. is 'a' i.e., Cyclophosphamide